Ankle Reflex is mediated by-
1. L2
2. L4
3. S1
4. S3

Correct answer: 3. S1

Explanation: Ans. is 'c' i.e., S1 ReflexRoot ValueBiceps ReflexC5,C6Supinator ReflexC5.C6Triceps JerkC6,C7Knee JerkL2,L3,L4Ankle ReflexSI